Pin point pupil is seen in all except
1. Pontine hemorrhage
2. Organophosphorus poisoning
3. Opium poisoning
4. Barbiturates poisoning

Correct answer: 4. Barbiturates poisoning

Explanation: Pin point pupil can be caused by : Opioids (morphine), organophosphates, phenothiazines, clonidine, mushroom poisoning, chloral hydrate, carbolic acid and pontine hemorrhage.